Fluoride helps in
1. Vision
2. Dentition
3. Myelinaon
4. Joint stability

Correct answer: 2. Dentition

Explanation: Fluoride helps in denon and reduces tooth decay,

Flourine is oen called a two edged sword


Excess intake →Causes Endemic fluorosis
Inadequate →Causes dental caries